Latanoprost is used in the treatment of -
1. Open angle Galucoma
2. Angle closure glaucoma
3. Non Granulomatous uveitis
4. Granulomatous Uveitis

Correct answer: 1. Open angle Galucoma

Explanation: Ans. is 'a' i.e., Open angle Galucoma Pharmacological agents used for POAGA) Topical drugso b-blockers:- Timolol, betaxolol, levobunolol, carteolol.o Prostaglandin analogues:- Latanoprost, bimatoprost, travoprost.o Alpha agonists:- Non-selective (epipherine, dipivefrine); selective a2 (Apraclonidine, Brimonidine).o Carbonic anhydrase inhibitors:- Dorzolantide, brinzolamide.o Cholinomimetic agents:- Pilocarpine, physostigmine, echothiophate, carbachol.B) Systemic drugso Carbonic anhydrase inhibitors:- Acetazolamide, dichlorphenamide, methazolamide.o Hyperosmotic agents:- Mannitol, glycerol.